Drug detoxification and steroid synthesis occur in
1. Mitochondria
2. Smooth endoplasmic reticulum
3. Rough endoplasmic reticulum
4. Cytoplasm

Correct answer: 2. Smooth endoplasmic reticulum